Which investigation is most diagnostic of pulmonary emboli?
1. CTPA
2. V/P scan
3. HRCT
4. D- Dimer Assay

Correct answer: 1. CTPA

Explanation: Computed Tomography Pulmonary Angiography (CTPA) is the initial imaging modality of choice for stable patients with a suspected pulmonary embolism. Pulmonary angiography shows emboli directly but it is an invasive procedure CT is noninvasive, cheaper and widely available. so, it's the most diagnostic investigation of choice. - D-Dimer is the screening investigationin PE pt's